Similar features between cerebral abscess and cerebral infarct-
1. Coagulative necrosis
2. Liquefactive necrosis
3. Heal by collagen formation
4. Always develop from emboli from other site

Correct answer: 2. Liquefactive necrosis

Explanation: Ans. is 'b' i.e., Liquefactive necrosis o Abscess is a type of liquefactive necrosis and ischemic infarct in brain is also a type of liquefactive necrosis "For obscure reasons, hypoxic death of cells within CNS often involes liquefactive necrosis" o Healing of ischemic brain occurs by gliosis, (there is no collagen or fibroblast in brain) around the edge of necrosis, astrocytes proliferate and form a delicate rim of gliosis around the margin of damage. o Majority of the thrombotic occlusions are due to atherosclerosis (not always from embloi). Note: o There are no fibroblasts in brain, however fibrous capsule (made up of collagen) surrounding the liquefactive necrosis of brain abscess, is produced by fibroblast derived from the wall of blood vessel.